An Organized collection of the values of the various variables which will be used for further analysis in an epidemiological study is known as
1. Data set
2. Sample
3. Statistics
4. Population

Correct answer: 1. Data set

Explanation: Data consists of discrete observations of attributes or events. They carry little meaning when considered alone; Data needs to be transformed into information by reducing them, summarizing them and adjusting them for variations Information is transferred to intelligence through integration and processing with experience and perceptions based on social and political values Park 23e pg: 839